Wimberger sign of Scurvy is defined as
1. Calcified cartilage seen at metaphysis
2. Sclerotic rim around epiphyseal centre of Ossification
3. Zone of rarefaction at metaphysis
4. Ground glass appearance

Correct answer: 2. Sclerotic rim around epiphyseal centre of Ossification